Which of the following is the most ionizing radiation:
1. Alpha
2. Beta
3. X-Ray
4. Gamma

Correct answer: 1. Alpha

Explanation: A i.e. Alpha